Most common organism causing neonatal meningitis is
1. E. coli
2. Listeria
3. Pseudomonas
4. Staph aureus

Correct answer: 1. E. coli

Explanation: The most common causes of neonatal meningitis is bacterial infection of the blood, known as bacteremia (specifically group B streptococci (Streptococcus agalactiae), Escherichia coli, and Listeria monocytogenes . Reference: GHAI Essential pediatrics, 8th edition